In AIDS patient presenting with fever, cough a diagnosis of pneumocystin pneumonia is best established by
1. CT scan chest
2. Bronchoalveolar lavage
3. Staining of intra-nuclear inclusion with silver staining
4. Aspiration and culture

Correct answer: 2. Bronchoalveolar lavage

Explanation: Ans. is 'b' i.e., Bronchoalveolar lavage Diagnosis of PCP requires Demonstration of the organism in samples obtained from induced sputum. Bronchoalveolar lavage, transbronchial biopsy, or open-lung biopsy. If the histological examination fails :? u PCR is required to make the diagnosis